Commonest complication of Zenker's diverticulum is
1. Dysphonia
2. Gastroesophageal reflux
3. Lung abscess
4. Perforation

Correct answer: 3. Lung abscess

Explanation: "Pulmonary infection is the most frequent serious complication, and many patients are first seen after experiencing repeated episodes of pneumonia."-CSDT

Aspiration pneumonia & Lung abscess are the most frequent complications of Zenker's diverticulum.
Other rare complications are:
Perforation
Bleeding
Carcinoma